Gallow's traction is used for
1. Shaft of femur
2. Neck of femur
3. Shaft of tibia
4. Tibial tuberosity

Correct answer: 1. Shaft of femur

Explanation: Gallow's traction Used in fractures of shaft of femur From birth to 2 years In this the legs of the child are tied to a overhead beam. The hips are kept a little raised from the bed so that the weight of the body provides counter traction and the fracture is reduced This is continued till sufficient callus forms(3-6 weeks) Ref: Textbook of orthopaedics Maheshwari and Mhaskar 6th edition pgno:143